First pharyngeal arch derivatives include which of the following structures?
1. Hyoid bone
2. Maxillary process
3. Stapes
4. Styloid process

Correct answer: 2. Maxillary process